Miniature end plate potential (MEPP) is:
1. Inhibited by anticholinesterases
2. Recorded in resting muscle
3. Responsible for excitation of the muscle
4. Of 5 to 10 mV amplitude

Correct answer: 2. Recorded in resting muscle

Explanation: EPP (END PLATE POTENTIAL) -Amplitude is 40 mV =Depolarization reach threshold- AP - contraction -Graded potential, forerunner of Action potential (AP) EPSP (EXCITATORY POSTSYNAPTIC POTENTIAL) -Developed in CNS synapses -Amplitude is 2,3,4 or 5 mV -Multi EPSP will summate to create Action potential MEPP (MINIATURE END PLATE POTENTIAL) -Even in resting conditions, small pockets of Ach released, creating MEPP -Amplitude is 0.5 microvolts